Betts classification is used for
1. Ocular Trauma
2. Retinopathy
3. Corneal Ulcers
4. Uveitis

Correct answer: 1. Ocular Trauma

Explanation: Ans. (a) Ocular TraumaRef: International society of Ocular Trauma Official Website'Betts' in the betts classification refers to 'Birmingham Eye Trauma Terminology System'